Most common infection occurs in transplant recipients:
1. Cytomegalo virus
2. Epstein Barr virus
3. Hepatitis virus
4. Polyoma virus

Correct answer: 1. Cytomegalo virus

Explanation: Ref. Textbook of Microbiology and Immunology BY Parija. Page. 487
 
Most common infection is CMV.
Below is the table of the infections in transplant recipients (Very important from Harrisons)